Which of the following is the most useful to differentiate micrococci from Staphylococci-
1. Catalase test
2. Hugh Leifson test
3. Oxidase test
4. All of the above

Correct answer: 2. Hugh Leifson test

Explanation: Ans. is 'b' i.e., Hugh Leifson test . The common laboratory test to differentiate between micrococci and Staphylococci is Hugh and Leifson's oxidation fermentation test in which micrococci show oxidative and Staphylococci show fermentative patterns.